Which of the following is the binding site of organophosphorous compounds
1. Anionic site of Ache
2. Esteric site of Ache
3. Nm receptors
4. plasma cholinesterase

Correct answer: 2. Esteric site of Ache

Explanation: Ref: HL Sharma 3rd ed: Pg no:147 OP compounds binds to esteric site of ACHE carbamates binds to both anionic and esteric sites of ACHE oximes binds to anion site of ACHE